Millennium development goals aim to reduce MMR by?
1. 3\/4
2. 2\/3
3. 1\/4
4. 1\/2

Correct answer: 1. 3\/4

Explanation: Improve maternal health Target 6: reduce by three -quarters,between 1990 and 2015,the maternal mortality ratio (refer pgno:895 park 23rd edition)